The most pronounced effect on the oral microflora of reduction in rate of salivary flow is a
1. Significant increase in number of oral bacteria
2. Shift towards more acidogenic microflora
3. Significant decrease in number of oral bacteria
4. Shift towards more aerobic microflora

Correct answer: 2. Shift towards more acidogenic microflora